True about septal hematoma is -a) Occurs due to traumab) Can lead to saddle-nose deformityc) Conservative treatmentd) May lead to abscess formation
1. acd
2. abd
3. abc
4. ab

Correct answer: 2. abd

Explanation: Septal hematoma

Result from bleeding within the superichondrial plane of the septum
Etiology : Trauma, Bleeding disorders
Treatment : Early surgical drainage by giving a horizontal incision at septal base and a tight intranasal packing to prevent reaccumulation.
Complication :


Large haematomas if not drained may lead to saddle nose deformity and retraction of columella due to absorption of cartilage.
Infection can occur in the hematoma leading to abscess formation.